Lesion in left optic tract manifest as
1. Left unilateral blindness
2. Left bilateral hemianopia
3. Left homonymous hemianopia
4. Right homonymous hemianopia

Correct answer: 4. Right homonymous hemianopia

Explanation: (D) Right homonymous hemianopia # Lesions of optic tract: These are characterized by incongrous homonymous hemianopia associated with contralateral hemianopic pupillary reaction (Wernicke's reaction).> These lesions usually lead to partial descending opitic atrophy and may be associated with contralateral third nerve paralysis and ipsilateral hemiplegia.> Common causes of optic tract lesions are syphilitic meningitis or gumma, tuberculosis and tumours of optic thalamus and aneurysms of superior cerebellar or posterior cerebral arteries.